Which is the best test for diagnosis of adrenal insufficiency?
1. CT abdomen
2. Steroid autoantibodies
3. Fludrocortisone challenge test
4. Cosyntropin test

Correct answer: 4. Cosyntropin test

Explanation: The diagnosis of Primary Adrenal Insufficiency is established by Cosyntropin test Cortisol values of <18ug/dl sampled 30-60 minutes after ACTH stimulation will diagnose the disease. This is followed by plasma ACTH values to identify primary versus secondary Addison disease. Steroid auto-antibodies are marker for Autoimmune Adrenalitis. Fludrocortisone challenge test is done for Conn syndrome.